True about post dural headache is all except:?
1. Orienting beveled edge needle parallel to long axis prevents it
2. Thin bore needle prevents it
3. It is more common in males
4. Timing of ambulation has no effect over its incidence

Correct answer: 3. It is more common in males

Explanation: Ans. is `c' i.e., It is more common in males FACTORS THAT INCREASE THE INCIDENCE OF HEADACHE AFTER SPINAL PUNCTURE Age : Younger, more frequent. Sex : Females > males Needle size : Larger > smaller Needle bevel : Less when the needle bevel is placed in the long axis of the neuraxis Pregnancy : More when pregnant Dural punctures : More with multiple punctures FACTORS THAT DO NOT INCREASE THE INCIDENCE OF HEADACHE AFTER SPINAL PUNCTURE Insertion and use of catheters for continuous spinal anaesthesia Timing of ambulation About option a Orienting a needle bevel parallel with the axis of the spine, such that the longitudinal fibres of the dura would more likely be separated than cut, results in a lower incidence of postspinal puncture headache.